Aspirin is associated with
1. Reye's Syndrome
2. Sjogren Syndrome
3. Reiter Syndrome
4. None of the above

Correct answer: 1. Reye's Syndrome

Explanation: Reyes syndrome is a rare disorder that causes brain and liver damage. Aspirin is most common cause of causing Reyes syndrome. Reference: GHAI Essential pediatrics, 8th edition